A child after consuming food in a party complains of diarrhea within 1-5 hours. The diagnosis is ?
1. S. aureus
2. Streptococcus
3. Clostridium perfringens
4. Clostridium botulinum

Correct answer: 1. S. aureus

Explanation: Ans. is 'a' i.e., S. aureus . Staphylococcal food poisoning occurs within 2-6 hrs after consuming contaminated food containing preformed toxin. . The only other cause of food poisoning presenting with in 4-6 hrs is Bacillus cereus.